Which of the following relaxes mesangial cells in glomerulus?
1. Dopamine
2. Histamine
3. AT III
4. PDGF

Correct answer: 1. Dopamine

Explanation: Stellate cells called mesangial cells are located between the basal lamina and the endothelium. They are similar to cells called pericytes, which are found in the walls of capillaries elsewhere in the body. Mesangial cells are especially common between two neighboring capillaries, and in these locations, the basal membrane forms a sheath shared by both capillaries. The mesangial cells are contractile and play a role in the regulation of glomerular filtration. Mesangial cells secrete the extracellular matrix, take up immune complexes, and are involved in the progression of glomerular disease. TABLE 38-3Agents causing contraction or relaxation of mesangial cells. Contraction: Endothelins,Angiotensin II,Vasopressin,Norepinephrine,Platelet-activating factor,Platelet-derived growth factor,Thromboxane A2,PGF2,Leukotrienes C4 and D4,Histamine. Relaxation: Dopamine,A NP,PGE2,cAMPRef: Ganong's review of medical physiology,23rd edition, page no: 640, 646